Most common presentation of- glottis carcinoma
1. Change in voice
2. Dysphagia
3. Pain
4. Involvement of lymph nodes

Correct answer: 1. Change in voice

Explanation: (A) (Change in voice) (309- Dhingra 6th)* Hoarseness of voice is an early sign because lesions of cord affect its vibratory capacity, it is because of this that glottis cancer is dectected early. SUPRAGLOTTISGLOTTISSUBGLOTTISSites* Epiglottis* Aryepiglottic folds* Arytenoids* Ventricular bands* Ventricles and sacculeTrue vocal cordsAnterior commissurePosterior commissureWalls of subglottis up to lower border of cricoid cartilageFrequencyLess frequent than glottisMost commonLeast common (1-2%)Nodal metastasisNodal metastasis occur early- upper and deep cervical nodesNodal metastasis is rare- Practically naver seenNodal metastasis in pre-laryngeal pre- tracheal, para tracheal and lower deep cervical nodesNot as common as in supraglottis varietyMost prominent symptomOfter silent Hoarsness is lateHoarseness is anearly signStridor or Laryngeal obstructionHoarseness is late* Any patient in cancer age group having persistent or gradually increasing hoarseness for 3 weeks must have laryngeal examination to exclude cancer